Hemophilia B is due to deficiency of -
1. Factor VIII
2. Factor VII
3. Factor IX
4. factor X

Correct answer: 3. Factor IX

Explanation: Ans. is 'c' i.e., Factor IX o Hemophilia is of 2 typeso In the questions they have not specified about the type of hemophilia they are referring to.o So we can consider both hemophilia A and hemophilia B.o Hemophilia A-Due to deficiency of factor VIIIo Hemophilia B-.Due to deficiency of factor IX.o Both these hemophilias have identical clinical picture, even the tests used to evaluate the bleeding disorders give identical results i.e.o "in both these disorders whole blood clotting time and partial thromboplastin time is prolongedQ, while all the other tests are normal, "In both the disease Hemarthrosis is the common presentation,o This occurs because both factor VIII and factor IX are part of intrinsic pathway of coagulation and the absence or deficiency of these factors will factors will lead to defect in the intrinsic pathway.You know,* Partial thromboplastin time-Is a test usedfor assessing the integrity of intrinsic pathway so it will be abnormal in both these disorders.* Whole blood clotting time-Measures the time taken for blood to clot. It is an index for assessing the integrity of the whole clotting system so this Will also be abnormal or prolonged.* All other tests will be-Normal in both these disorders. LABORATORY FEATURES OF HEMOPHILIA Tourniquet testBleeding timeWhole blood clotting timePlatelet countPITPTHemophilia ANN|N|NHemophiliasNN|N|N